Which of the following is a contraindication for medical management of Gall stones -
1. Radioopaque stones
2. Radioluscent stones
3. Normal functioning gall bladder
4. Small stones

Correct answer: 1. Radioopaque stones

Explanation: Davidson's principles and practice of medicine 22nd edition. *radio opaque gallstones -symptomatic gall stones are best treated surgically by laprolaparoscopic cholecysectomy.